All of the following drug can be used in hypertensive crisis except:
1. Labetalol
2. Pindolol
3. Nitroprusside
4. None

Correct answer: 2. Pindolol

Explanation: Ans. B: Pindolol Hypertensive emergencies are treated in an ICU; BP is progressively (although not abruptly) reduced using a short-acting, titratable IV drug. Choice of drug and speed and degree of reduction vary somewhat with the target organ involved, but generally a 20 to 25% reduction in MAP over an hour or so is appropriate, with further titration based on symptoms. Achieving "normal" BP urgently is not necessary. Typical first-line drugs include Nitroprusside Fenoldopam Nicardipine Labetalol Oral drugs are not indicated because onset is variable and the drugs are difficult to titrate. Short-acting oral nifedipine reduces BP rapidly, it may lead to acute cardiovascular and cerebrovascular events (sometimes fatal) and is therefore not recommended.